Classical markers for Hodgkin's disease -
1. CD15 and CD30
2. CD15 and CD22
3. CD15 and CD20
4. CD20 and CD30

Correct answer: 1. CD15 and CD30

Explanation: Classical markers for Hodgkin's disease are CD15 and CD30.
CD15 and CD30 are positive in all variants of Hodgkin's disease except lymphocyte predominance.
Lymphocyte predominance variant is positive for CD20.